Nocturnal anginal pain and severe disphoresis are seen in -
1. Acute severe MR
2. Chronic severe MS with MR
3. Acute severe AR
4. Chronic servere AR

Correct answer: 4. Chronic servere AR

Explanation: Davidsons Principles and practice of medicine_22Edition page no 623-624 Aortic regurgitation Aetiology and pathophysiology This condition is due to disease of the aortic valve cusps or dilatation of the aortic root (Box 18.109). The LV dilates and hypertrophies to compensate for the regurgitation. The stroke volume of the LV may eventually be doubled or trebled, and the major arteries are then conspicuously pulsatile. As the disease progresses, left ventricular diastolic pressure rises and breathlessness develops. Clinical features Until the onset of breathlessness, the only symptom may be an awareness of the heart beat . particularly when lying on the left side, which results from the increased stroke volume. Paroxysmal nocturnal dyspnoea is sometimes the first symptom, and peripheral oedema or angina may occur. The characteristic murmur is best heard to the left of the sternum during held expiration. a thrill is rare. A systolic murmur due to the increased stroke volume is common and does not necessarily indicate stenosis. The regurgitant jet causes fluttering of the mitral valve and, if severe, causes partial closure of the anterior mitral leaflet, leading to functional mitral stenosis and a soft mid-diastolic (Austin Flint) murmur. In acute severe regurgitation (e.g. perforation of aortic cusp in endocarditis), there may be no time for compensatory left ventricular hypertrophy and dilatation to develop and the features of heart failure may predominate. In this situation, the classical signs of aortic regurgitation may be masked by tachycardia and an abrupt rise in left ventricular end-diastolic pressure; thus, the pulse pressure may be near normal and the diastolic murmur may be short or even absent. Investigations Regurgitation is detected by Doppler echocardiography . In severe acute aortic regurgitation, the rapid rise in left ventricular diastolic pressure may cause premature mitral valve closure. Cardiac catheterisation and aortography can help in assessing the severity of regurgitation, and dilatation of the aorta and the presence of coexisting coronary artery disease. MRI is useful in assessing the degree and extent of aortic dilatation. Management Treatment may be required for underlying conditions, such as endocarditis or syphilis. Aortic valve replacement is indicated if aortic regurgitation causes symptoms, and this may need to be combined with aortic root replacement and coronary bypass surgery. Those with chronic aortic regurgitation can remain asymptomatic for many years because compensatory ventricular dilatation and hypertrophy occur, but should be advised to report the development of any symptoms of breathlessness or angina. Asymptomatic patients should also be followed up annually with echocardiography for evidence of increasing ventricular size. If this occurs or if the end-systolic dimension increases to 55 mm or more, then aortic valve replacement should be undertaken. Systolic BP should be controlled with vasodilating drugs, such as nifedipine or ACE inhibitors. There is conflicting evidence regarding the need for aortic valve replacement in asymptomatic patients with severe aortic regurgitation. When aortic root dilatation is the cause of aortic regurgitation (e.g. Marfan's syndrome), aortic root replacement is usually necessary.